Virulence of a disease is indicated by:
1. Proportional mortality rate
2. Specific mortality rate
3. Case fatality rate
4. Amount of GDP spent on control of disease

Correct answer: 3. Case fatality rate

Explanation: Ans. (c) Case fatality rateCASE FATALITY RATE (CFR):* CFR represents 'killing power of a disease'- It is 'closely related to virulence of organism'CFR=Totalno.ofcasesduetoadiseaseTotalno.ofdeathsduetoadisease x100* CFR is a Proportion: Always expressed in percentage* CFR is the 'complement of Survival Rate', thus CFR =1 - Survival Rate* Limitations of CFR:- Time interval is not specified- Usefulness is limited for chronic diseases - CFR for the same disease may vary in different epidemics